Seminoma spreads by?
1. Hematogenous route
2. Direct route
3. Lymphatics
4. Directly by spermatic cord

Correct answer: 3. Lymphatics

Explanation: Ans. (c) LymphaticsRef: Bailey 26th Edition, Page 1385* Seminoma metastasise mainly via the lymphatics and hematogenous spread is uncommon